Complications of shigella infections - a) HUS  b) Reactive arthritis  c) Sepsis   d) None
1. abc
2. ab
3. bc
4. ac

Correct answer: 1. abc